Ligament supporting the head of talus is
1. Short plantar ligament
2. Long plantar ligament
3. Medial ligament (Deltoid ligament)
4. Plantar calcaneonavicular ligament (Spring ligament)

Correct answer: 4. Plantar calcaneonavicular ligament (Spring ligament)

Explanation: Ans. d (Plantar calcaneonavicular ligament ). (Ref. BDC, Vol. II, 3rd ed., 132, 135, 136)# The head of talus rests directly on the upper surface of the Plantar calcaneonavicular ligament (Spring ligament), which is covered by fibrocartilage.# The plantar calcanonavicular ligament, as the name sugests, runs from the sustentaculum tali of the calcaneum to the navicular bone on its inferior aspect. The upper surface of the ligament is covered by fibrocartilage and strongly supports the head of the talus from below. It also acts like a tie beam to support the medial longitudinal arch.# Most commonly the lateral collateral ligament is sprained, mostly so anterior talo-fibular component.2Also remember:Talar neck fractures are the commonest injury and are usually high energy (historically termed 'aviator's astragalus'). A significant complication is avascular necrosis of the talus. The goal of treatment is anatomical reduction and stable fixation, which helps reduce the risk of osteonecrosis. Hawkins' sign can be seen approximately 6-8 weeks after injury on plain radiographs. This appears as subchondral lucency of the talar dome, which signifies bony reabsorption, i.e. a viable bone.